All are true about Bell's palsy except -
1. Hyperacusis
2. Spontaneous recovery in 2-3 weeks
3. Ptosis
4. Loss of taste sensation

Correct answer: 3. Ptosis

Explanation: Ans. is 'c' i.e., Ptosis Clinical features of Bell's palsyo Acute onset, ipsilateral facial paralysis.o Facial paralysis is usually preceded by pain behind the ear.o Patient is unable to close his eyes.o Bells phenomenon, i.e. on attempting to close the eye, eyeball turns up and out.o Face becomes asymmetrical and saliva dribbles from angle of mouth,o Ipsilaieral loss of taste sensation, salivation and lacrimation.o Intolerance to high pitched or loud sound (hyperacusis).o Most patients (80%) recover within few weeks to months.